'Flower vase' appearance on intravenous urogram is seen in
1. Duplex system with upper moeity ureterocele
2. Polycystic kidney disease
3. Horse-shoe kidney
4. Retro-caval ureter

Correct answer: 3. Horse-shoe kidney